Point mutation is seen in
1. Antigenic shift
2. Antigenic drift
3. Both of above
4. None of above

Correct answer: 2. Antigenic drift

Explanation: Antigenic shift may be due to genetic recombination, reassortment, rearrangement Sudden change in Antigenic variation occurs. Antigenic drift due to point mutation Antigenic change is Gradual over a Period of Time.